Which of the following secretions has a very high pH?
1. Gastric juice
2. Pancreatic juice
3. Bile in gall bladder
4. Saliva

Correct answer: 2. Pancreatic juice

Explanation: Gastric juice is acidic with a pH varying from 1to2. -Pancreatic juice is alkaline with a pH ranging from 7.8-8.4 Gallbladder bile is alkaline & pH is ranging from 7-7.6 -pH of saliva varies from 6-7.4 & is slightly acidic. Reference: Medical Physiology, Indu Khurana